Cholesterol is transported to extrahepatic tissues by:
1. IDL
2. VLDL
3. HDL
4. LDL

Correct answer: 4. LDL

Explanation: D i.e. LDL